Transcutaneous electrical nerve stimulation is based on
1. Allodynia
2. Referred pain
3. Central Pain.
4. Gate control theory of pain

Correct answer: 4. Gate control theory of pain

Explanation: Ans. (d) Gate control theory of pain(Ref: Ganong, 25th ed/p.172)Gate control theory of pain:#Proposed by Melzack and Wall#Dorsal horn neuron receives collaterals from both the touch receptors and pain receptors. Simultaneous activation of innocuous touch receptors reduces the responsiveness of dorsal horn neurons to their input from pain receptor afferents#It is also the basis behind transcutaneous electrical nerve stimulation (TENS) where in electrodes are used to activate Aa and Ab fibers near the site of injury to relieve pain